A lady with amenorrhea and galactorrhea, what is the cause of this?
1. Pituitary adenoma
2. Adrenal hyperplasia
3. 70 alpha hydroxylase deficiency
4. None of above

Correct answer: 1. Pituitary adenoma

Explanation: In patients with both galactorrhea and amenorrhea, approximately two-thirds will have hyperprolactinemia; of those, approximately one-third will have a pituitary adenoma. A prolactin level as high as 150-200 ng/mL is almost always due to a pituitary adenoma.